True about varicocele is:
1. More common on right side
2. Can cause oligospermia
3. No effect on Valsalva
4. Lies anterior to testis

Correct answer: 2. Can cause oligospermia

Explanation: Most common surgically correctable cause of male sub-feility Surgical correction can reverse atrophy in adolescents CLINICAL FEATURES MC seen in young adults, tall thin men are frequently affected Painless, compressible mass lying posterior and above the testis Bag of worms like feel on palpation In standing position Marked left side predominance (90%). In RCC, varicocele does not decompress In supine position. Varicocele Classification Subclinical Not palpable or visible at rest or during valsalva maneuver, but demonstrable by special tests (reflux found on Doppler examination) Grade 1 Palpable during valsalva maneuver,but not otherwise Grade 2 Palpable at rest, but not visible Grade 3 Visible and palpable at rest DIAGNOSIS Diagnosis is made by clinical examination and confirmed by color Doppler analysis (reflux/ reverse flow is characteristic of varicoceles).